Cause of False positive D-xylose test includes all of the following, except
1. Bacterial overgrowth
2. Renal failure
3. Ascitis
4. Celiac sprue

Correct answer: 4. Celiac sprue

Explanation: False positive D-xylose tests are seen inThird space collectionRenal insufficiencyDelayed gastric emptyingRapid intestinal transitVomitingBacterial overgrowthRef: Harrison's 18e p2467